Which is not true about hallucination
1. It is vivid as normal stimulus
2. It occurs in inner subjective space
3. It is independent of will of observer
4. It occurs in absence of perceptual stimuli

Correct answer: 2. It occurs in inner subjective space

Explanation: The hallucination is defined as perception without a stimulus. hallucination is experienced clear and vivid like a true perception it is not under the control of the person experiencing it and it seems to come from an external objective space for example, from outside the ears in the case of an auditory hallucination, patients with psychosis presents with auditory hallucinations mentioning that they could hear male and female voices which comes from outer space scolding them with ausive words and commanding them to do things. If the hallucination does not either appear to be a true perception or comes from a subjective internal space (for example, inside the person's own head in the case of auditory hallucination), then it is called as a pseudohallucination. (Ref: A short textbook of psychiatry,niraj Ahuja,7th edition, pg no.13) kaplon and sadock synopsis of psychiatry, 11 th edition, page non .202